Diameter of the optic disc is:
1. 1.5 mm
2. 2.5 mm
3. 3.5 mm
4. 5 mm

Correct answer: 1. 1.5 mm

Explanation: Ans. 1.5 mm